Surgical blade number useful for aeriotomy is
1. 10
2. 11
3. 15
4. 22

Correct answer: 2. 11

Explanation: Surgical blade for aeriotomy is 11 Minor surgical procedures- 15 Abdominal incisions- 22 Reference: Bailey and love, 27th edition, page:85